All of the following are the posterior relations of the kidney except -
1. Psoas major
2. Quadratus lumborum
3. Sympathetic chain
4. Ilioinguinal nerve

Correct answer: 3. Sympathetic chain

Explanation: Posterior relation of Kidney
-        Vessels- Subcostal vessels
-        Nerves- subcostal, iliohypogastric, ilioinguinal
-        Muscles- diaphragm, psoas major, quadratus lumborum, transversus abdominis.
-        Ligaments- medial and lateral arcuate ligaments
-        Others
o   Right kidney- 12th rib
o   Left kidney- 11th & 12th ribs